Pronator quadratus has same innervation as following muscles-
1. Flexor pollicis longus
2. Flexor digitorum superficialis
3. Palmaris longus
4. Flexor carpi ulnaris

Correct answer: 1. Flexor pollicis longus

Explanation: Pronator quadratus is supplied by anterior interosseous nerve which is a branch of median nerve. This anterior interosseous nerve supplies deep muscles of anterior forearm: Flexor pollicis longus Lateral half of Flexor digitorum profundus of index & middle fingers Pronator quadratus. Flexor digitorum superficialis supplied by median nerve Palmaris longus supplied by median nerve Flexor carpi ulnaris supplied by ulnar nerve